Burkitt's lymphoma arises from
1. T cell
2. B cell
3. Pre B cell
4. NK cell

Correct answer: 2. B cell

Explanation: airway Burkitt lymphoma is a cancer of the lymphatic system, particularly B lymphocytes found in the germinal center. It is named after Denis Parsons Burkitt, a surgeon who first described the disease in 1958 while working in equatorial Africa